About fibrolamellar carcinoma, TRUE is -
1. Diffuse in nature
2. Occurs after 60 years of age
3. Cirrhosis is the most common presenting feature
4. Has better prognosis

Correct answer: 4. Has better prognosis